Entrance into the sinus in a Caldwell procedure is made through the
1. Malar eminence
2. Canine fossa
3. Tuberosity
4. Zygomatic ridge

Correct answer: 2. Canine fossa